The Quaternary blast injury is:-
1. Bone fractures
2. ARDS
3. Penetrating trauma
4. Psychiatric trauma

Correct answer: 4. Psychiatric trauma

Explanation: These include flash burns,* crush injuries, fall resulting from the explosion, and respiratory injuries (toxic dust, gas) or radiation exposure. Psychiatric injury (due to neurological damage sustained during the blast) is most common Post-traumatic stress disorder (PTSD) may affect people who are otherwise completely uninjured.